Total number of teeth present at the age of 12 is:
1. 12
2. 20
3. 24
4. 30

Correct answer: 3. 24

Explanation: Between 7 to 12 years, 24 teeth are present. At age 9, 12 permanent teeth are in the mouth; 8 incisors and 4 first molars. Deciduous molars and canines are present. At the age 11, there are 20 permanent teeth: 8 incisors, 8 premolars, and 4 molars. At the age 14, there are 28 permanent teeth, and no deciduous teeth. Ref: The Essentials of Forensic Medicine and Toxicology by KS Narayan Reddy, 27th edition, Page 61.